Corneal transparency is maintained by all except:
1. Relative dehydration
2. Increased mitotic figures in centre of cornea
3. Unmyelinated nerve fibers
4. Uniform spacing of collagen fibrils

Correct answer: 2. Increased mitotic figures in centre of cornea

Explanation: Ans. Increased mitotic figures in centre of cornea